Alpha-fetoprotein is increased in following except:
1. Open neural tube defect
2. Down's syndrome
3. Oesophageal atresia
4. Exomphalos

Correct answer: 2. Down's syndrome

Explanation: Down's syndrome